Diencephalon represents
1. Lateral ventricle
2. 3rd ventricle
3. 4th ventricle
4. Aquedct

Correct answer: 2. 3rd ventricle

Explanation: The diencephalon is the part of brain between the cerebrum and brainstem.The cavity within it is called third ventricleThe parts of diencephalon are:ThalamusMetathalamusEpithalamusSubthalamusHypothalamus(Ref: Vishram Singh textbook of clinical neuroanatomy Second Edition pg -123)